The "sick cell syndrome" is characterized by -
1. Hyponatremia
2. Hypernatremia
3. Hypokalemia
4. Hyperkalemia

Correct answer: 1. Hyponatremia